Commonest type of drowning is -
1. Suicidal
2. Accidental
3. Homicidal
4. All of the above

Correct answer: 2. Accidental

Explanation: In India about 50,000 people die of drowning every year. About two third of which are accidental.